All are limitations of minimal access surgery except
1. Loss of tactile feedback
2. Difficulty with haemostasis
3. Extraction of large specimens
4. Increased heat loss

Correct answer: 4. Increased heat loss

Explanation: There is decreased heat loss in minimal access surgery.Advantages of minimal access surgeryDecrease in wound sizeReduction in wound infection, dehiscence, bleeding, herniation and nerve entrapmentDecrease in wound painImproved mobilityDecreased wound traumaDecreased heat lossImproved visualisationLimitations of minimal access surgeryReliance on remote vision and operatingLoss of tactile feedbackDependence on hand-eye coordinationDifficulty with haemostasisReliance on new techniquesExtraction of large specimensRef: Bailey and Love 27e pg: 108